Infant Milk Substitute act (IMS) was passed in:
1. 1992
2. 1993
3. 1994
4. 1995

Correct answer: 1. 1992

Explanation: The IMS act was passed in 1992 to protect, promote and support breastfeeding. Ref: Nutrition and Child Development, K.E. Elizabeth, 4th edition pg: 26